Function of larynx ?
1. Speech
2. Protection of airway
3. Conduit of air
4. All

Correct answer: 4. All

Explanation: Ans. is 'd' i.e., All There are three important functions of larynx, which are of real concerns to the clinician :? Provision of airway Larynx serves as a conduit for air and waste gases to and from lungs. Protection of airway Larynx prevents the passage of secretions of food and of other forein material into the upper respiratory tract. Phonation Larynx serves as organ of voice.